All are true about hemangioendothelioma except
1. Adult variant is benign
2. More common in females
3. Multiple and involve bilateral lobe
4. An indication for liver transplant

Correct answer: 1. Adult variant is benign

Explanation: Infantile variety is benign Adult one is malignant and Higly aggressive Ref:Sabiston 20th edition Pgno :1459